All of the following neurotransmitters are suspected of being involved in the pathophysiology of schizophrenia except -a) Prostaglandins E b) Norepinephrinec) Ascorbic acidd) 5-HT
1. a
2. ac
3. ad
4. b

Correct answer: 2. ac